Prostaglandins can be used for medical termination of pregnancy by all routes except :
1. Intravenous
2. Intramuscular
3. Extra amniotic
4. Intra amniotic

Correct answer: 1. Intravenous

Explanation: Intravenous